During which of the following sleep stages shows sleep spindles in ECG?
1. Stage 1
2. Stage 2
3. Stage 3
4. Stage 4

Correct answer: 2. Stage 2

Explanation: Ans. B. Stage 2Stage 1 (sleep)presence of theta waves 4-HzStage 2 (sleep)Sleep spindles appears as sinusoidal waves occurring at a frequency of 12-14 Hz. Presence of sleep spindles and K complexes. K complexes are occasional high voltage biphasic waves.stage 3A high-amplitude delta rhythm (0.5-4 Hz) are seen.Stage 4presence of slow waves.